Turricephaly is characterized by?
1. Short skull/Cranium
2. Narrow skull/Cranium
3. Tall skull/Cranium
4. Widened skull / Cranium

Correct answer: 3. Tall skull/Cranium

Explanation: Ans. is 'c' i.e., Tall skull/CraniumPremature fusion of coronal and sagittal sutures leads to a tall, tower-like skull known as turricephaly. Skull looks like a turret or cone shapedCraniosynostosisTurricephaly: There is cone shaped skull due to early closure of coronal, sphenofrontal and frontoethmoidal sutures. It is associated with Pfeiffer syndrome.